Emporiatrics deals with the health of the -
1. Farmers
2. Travellers
3. Industrial workers
4. Mine workers

Correct answer: 2. Travellers

Explanation: Travel medicine or emporiatrics is the branch of medicine that deals with the prevention and management of health problems of international travelers. Travel health advice is primarily aimed at prevention, and is therefore offered before travel. It includes steps taken before travel like Medical examinations and screening, Psychological preparation, Provision of a medical kit, First aid training, Preventive measures for prevention of thermal injury, Insure and plan for aeromedical evacuation and repatriation, Advice regarding accidents and related hazards, Special provisions for specific travel hazards and Protection against tropical diseases. Ref - Davidson 23rd edition pg 1010